Dislocation of the vertebra is uncommon in thoracic region because in this region -
1. The articular process are interlocked
2. The vertebral body is long
3. Anterior longitudinal ligament is strong
4. Spinous process is long and pointed

Correct answer: 1. The articular process are interlocked